Intercalated disc is present in:
1. Cardiac muscle
2. Smooth muscle
3. Skeletal muscle
4. All

Correct answer: 1. Cardiac muscle

Explanation: A. i.e. Cardiac muscle